In patients with anterior uveitis, decrease in vision due to posterior segment involvement can occur because of:
1. Visual floaters
2. Inflammatory disc edema
3. Exudative retinal detachment
4. CME

Correct answer: 4. CME

Explanation: Ans is 'd' i.e. CME "Cystoid macular edema is a common cause of visual loss in patients with uveitis and may be observed in the setting of severe anterior or intermediate uveitis. Long-standing or recurrent macular edema can cause permanent loss of vision due to cystoid degeneration. "- Lange OphthalmologyVisual floaters are seen in intermediate or posterior uveitis and do not cause visual loss.Exudative retinal detachment and Inflammatory disc edema are usually seen in posterior uveitis (can also be seen in intermediate uveitis and diffuse uveitis).